Perceptional misinterpretation of a real object is
1. Hallucination
2. Schizophrenia
3. Illusion
4. Delusion

Correct answer: 3. Illusion

Explanation: Illusion: Perceptual misinterpretation of a real external stimulus. Reference: Kaplan & Sadock's Synopsis of Psychiatry: Behavioral Sciences/Clinical Psychiatry, 11th Edition, page 1413.